Among the following which is a feature of testicu- lar feminization syndrome:
1. XX pattern
2. Commonly reared as male
3. Well formed female internal genitalia
4. High testosterone levels

Correct answer: 4. High testosterone levels